Hirsutism can be caused by the following except –
1. Flutamide
2. Norethisterone
3. Danazole
4. Phenytoin

Correct answer: 1. Flutamide

Explanation: Drugs causing Hirsutism

Androgens          
Phenytoin
Cyclosporine
Minoxidil    
Diazoxide       
Oral contraceptives containing androgenic progestins
Danazole
Norethisterone is a progesterone with weak androgenic action due to androgenic action, it causes hirsutism.
Progesterones with androgenic actions (androgenic progestins) are Norethisterone, (Norethindrone), Lynestrenol (ethinyl estrenol), allylestrenol, Levonorgestrel.